Facial nerve is the nerve of:
1. First arch
2. Second arch
3. Third arch
4. Fourth arch

Correct answer: 2. Second arch

Explanation: Second arch